Which of the following nerve stimulation may be considered for treatment of ADHD?
1. Vagal Nerve
2. Facial Nerve
3. Trigeminal Nerve
4. Trochlear Nerve

Correct answer: 3. Trigeminal Nerve

Explanation: Ans. C. Trigeminal nerveExternal Trigeminal Nerve Stimulation (eTNS) System is indicated for patients ages 7 to 12 years old who are not currently taking prescription ADHD medication and is the first non-drug treatment for ADHD granted marketing authorization by the FDA.